All of the following statements about treatment of migraine are true, except:
1. Narotriptan has slower onset and longer t1/2 than sumatriptan
2. Rizatriptan is more efficacious than sumatriptan
3. Sumatriptan is a selective 5-HT 1B/1D agonist
4. Sumatriptan is used for chronic migraine

Correct answer: 4. Sumatriptan is used for chronic migraine

Explanation: Acute management of a migraine with 5HT1agonist Rizatriptan and eletriptan are the most efficacious of the triptans currently available Triptans are selective 5-HT1B/1D receptor agonists. Sumatriptan used in acute conditions, not for chronic. Ref - Harrison's internal medicine 20e pg 3098